All of the following extraintestinal manifestations of ulcerative colitis respond to colectomy except ?
1. Primary sclerosing cholangitis
2. Pyoderma gangrenosum
3. Episcleritis
4. Peripheral arthralgia

Correct answer: 1. Primary sclerosing cholangitis

Explanation: Ans. is 'a' i.e., Primary sclerosing cholangitis Primary sclerosing cholangitis is the most serious extraintestinal manifestation of ulcerative colitis and it does not resolve with colectomy. Also know these important implications of sclerosing cholangitis on ulcerative colitis The activity of the diseased mucosa is more severe in patients with combined ulcerative colitis and primary sclerosing cholangitis. The risk of colonic cancer is five times greater when compared with ulcerative colitis alone. Cancer occurs more on the right side of the colon in patients with primary sclerosing cholangitis and ulcerative colitis.